The perinatal HIV transmission can be reduced by the following measures except -
1. Intrapartum antiretroviral therapy
2. Delivery by elective cesarean section
3. Antiretroviral therapy to the neonate
4. Breastfeeding

Correct answer: 4. Breastfeeding

Explanation: The perinatal HIV transmission can not be reduced by Breastfeeding After birth, babies born to a mother with HIV are given ART right away for 4 to 6 weeks. If you are treated for HIV early in your pregnancy, the risk of transmitting HIV to your baby can be 1% or less. Breast milk can have HIV in it. So, after delivery, you can prevent giving HIV to your baby by not breastfeeding Ref Harrison20th edition pg 999